Warthin Finkedly bodies are found in?
1. Tuberculosis
2. Sarcoidosis
3. Herpes
4. Measles

Correct answer: 4. Measles

Explanation: Ans. is 'd' i.e., Measles * Warthin-Finkeldey cell is a type of giant multinucleate cell found in hyperplastic lymph nodes early in the course of measles.